Barrier method is:
1. Oral contraceptive pill
2. Intrauterine devices
3. Spermicidal
4. Tubectomy

Correct answer: 3. Spermicidal

Explanation: Ans. Spermicidal